steven johnsons syndrome is a side effect of
1. carbamezepine
2. lithium
3. clozapine
4. clonazepam

Correct answer: 1. carbamezepine

Explanation: - SIDE EFFECTS OF THE DRUG - APLASTIC ANEMIA - AGRANULOCYTOSIS - Hyponatremia - Steven Johnson's syndrome - Liver enzyme elevation - It has teratogenic potential Ref.kaplon and sadock, synopsis of psychiaty, 11 th edition, pg no.923